A patient was diagnosed to have single skin lesion of Leprosy without any AFB positive bacteria from the scrapings. What should be the treatment of this patient according to latests guidelines?
1. (Rifampicin + Dapsone + Clofazamine) for 12 months
2. (Rifampicin + Dapsone + Clofazamine) for 6 months
3. (Rifampicin + Dapsone) for 12 months
4. (Rifampicin + Dapsone) for 6 months

Correct answer: 2. (Rifampicin + Dapsone + Clofazamine) for 6 months

Explanation: A single skin lesion of Leprosy without any AFB positive bacteria suggests PAUCI BACILLARY LEPROSY . NEW LEPROSY GUIDELINES : MULTI BACILLARY PAUCI BACILLARY 1. Rifampicin 600 mg / month 2. CLOFAZIMINE 300 mg / month and 50 mg OD 3. Dapsone 100 mg OD Treatment given for 12 months 1. Rifampicin 600 mg / month 2. CLOFAZAMIN 300 mg / month and 50 mg OD 3. Dapson 100 mg OD Treatment given for 6 months